Glibenclamide is preferred over chlorpropamide in the treatment of DM because the latter is more likely to cause:
1. Hypoglycemia
2. Alcohol intolerance
3. Cholestatic jaundice
4. All of the above

Correct answer: 4. All of the above